The Heidbrink meter in Boyle's machine
1. Reduces pressure of gases
2. Indicates flow of gases
3. Indicates humidity of gases
4. It a fixed orifice meter

Correct answer: 2. Indicates flow of gases

Explanation: Heidbrink is a flowmeter used in past. It consists of a metal tapered tube with inverted black float. The upper-end projects in the glass tube. Other type of flowmeter used in past was Connell which has round bobin.